Normal thyroid weight varies ______________ with dietary Iodine content -
1. Directly proportional
2. Inversely
3. Inverse cubically
4. Not fixed

Correct answer: 2. Inversely